Platysma
1. Compresses the cheeks
2. Draws the angles of mouth downwards
3. Elevates the mandible
4. Helps in mastication

Correct answer: 2. Draws the angles of mouth downwards